The most common cause of myopia is –
1. A–P diameter is increased
2. The thickness of lens is increased
3. The viscosity of aqueous humour is increased
4. The viscosity of vitreous humour is increased

Correct answer: 1. A–P diameter is increased

Explanation: A most common type of myopia and hypermetropia are axial, i.e. in myopia axial length of eyeball increases and in hypermetropia, it decreases.